For near point of 20 cm, a hypermetropic of +4D has to exercise accommodation of -
1. +4.0 D
2. +9.0 D
3. +10.0 D
4. 0 D

Correct answer: 2. +9.0 D

Explanation: Ans- B +9.0 D A=P-R where P-is the refractive power of the eye when fully accommodated and R-is the accommodative power of the eye at rest. Hypermetropes have their far point behind eye. Hence, R= -4 Applying this to the formula= A= 100/20 - (-4)= 5 + 4 = +9 D.